Intractable secondary galucoma is seen in:
1. Diffuse iris melanoma
2. Nodular iris melanoma
3. Melanocyte deposits in anterior part of iris
4. Melanocyte proliferation in posterior uveal tissue

Correct answer: 1. Diffuse iris melanoma

Explanation: Diffuse iris melanomas are associated with intractable secondary glaucomas. 'Iris melanomas are usually nodular, but diffuse tumors can involve the iris stroma extensively and infiltrate the out flow system to cause intractable secondary glaucoma'. Ref: The Wills Eye Hospital Atlas of Clinical Ophthalmology, By William Tasman, Edward A. Jaeger, Wills; The Eye:Basic sciences in Practice, 2nd Edition, Page 422